Which of the following changes in C-MYC oncogene may be associated with colonic malignancy?
1. Point mutation
2. Amplification
3. Rearrangement
4. Deletion

Correct answer: 2. Amplification

Explanation: C- MYC amplification may be responsible for Ca breast, Ca colon, Ca stomach and lung. L - MYC amplification is associated with Ca lung and bladder. N- MYC amplification is associated with neuroblastoma and Ca lung. Ref: Harrison, 17th Edition, Page 496